Locard's principle is famous for:
1. Theory of exchange
2. Fingerprint study
3. Formula for estimation of stature
4. System of personal identification using the body measurement

Correct answer: 1. Theory of exchange

Explanation: Ans. a. Theory of exchangeRef: APC Essentials of Forensic Medicine and Toxicology by Anil Aggrawal; Page No- 426 and Essential of Forensic Medicine and Toxicology, KSN Reddy, 33rd Ed; Page No-475Locard's Exchange principle states that when any two objects come into contact there is always a transfer of material from each object on to the other.This principle is often used as a sure proof of crime.The principle was first enunciated by Edmond Locard (1877-1996), often referred to as the Sherlock Holmes of France.